Mechanism of action of allopurinol is
1. Xanthine oxidase inhibition
2. Recombinant uricase
3. Increase uric acid excretion
4. Decrease chemotaxis

Correct answer: 1. Xanthine oxidase inhibition

Explanation: Allopurinol (hypoxanthine analog) and recently approved drug, decrease the production of uric acid by inhibiting the enzyme xanthine oxidase. Dose- 100-600 mg / day Allopurinol is metabolized by the same enzyme to allo xanthine which is a long acting inhibitor of xanthine oxidase. Allopurinol (purine analogue and Febuxostat (non-purine analogue) are indicated as drug of choice for chronic gout in the inter-critical period (between two acute attacks) and also with anticancer drugs (to decrease secondary hyperuricemia). DRUGS USED IN CHRONIC GOUT Group Mechanism Drugs Uric acid synthesis inhibitors Xanthine oxidase inhibitors Allopurinol, Febuxostat Uricosuric agents URAT-1 transporter inhibitors Probenecid, Sulfinpyrazone, Benzbromarone, Lesinurad Recombinant uricase Cause oxidation of urate to allantoin Rasburicase, Pegloticase